Which is not the complication of Rh incompatibility:
1. APH
2. PPH
3. Oligohydramnios
4. Pregnancy induced hypertension

Correct answer: 3. Oligohydramnios

Explanation: Ans. is c i.e. Oligohydramnios Rh incompatibility has adverse effect on the baby mainly, but mother may also be affected. In Rh negative mothers there is increased incidence of Preeclampsiadeg- due to hydropic placenta in case of hydrops. Polyhydramniosdeg Preterm labour Big size baby and its hazards Hypofibrinogenemia (due to prolonged retention of dead fetus in utero). Post partum hemorrhage due to big placenta and coagulopathy. Maternal mirror syndrome - Characterised by generalised oedema (similar to fetus), proteinuria and pruritis due to cholestasis. These features are omnious and indicate imminent fetal death in utero. Antepartum hemorrhage is not a direct complication of Rh incompatibility but may be the result of hypofibrinogenemia.